Rhabditiform larvae in freshly passed stools are seen with -
1. Toxoplasma
2. Trichuris
3. Ankylostom
4. Strongyloides

Correct answer: 4. Strongyloides

Explanation: Demonstration of the rhabdiform larvae in freshly passed faeces is the most important and specific method for diagnosis of strongyloidiasis. Larvae may sometimes be present in sputum or duodenal aspirates. Sometimes unhatched eggs are formed in the specimen and may cause confusion with the hookworm eggs (refer pgno:152 baveja 3 rd edition)